All are causes of Antepartum hemorrhage (APH) except :
1. Placenta previa
2. Abruptio placenta
3. Circumvallate placenta
4. Battledore placenta

Correct answer: 4. Battledore placenta

Explanation: Ans. is d i.e. Battledore placenta Ref. Dutra Ovs. tire, p 243, 248; Text book of Obs. by Sheila Balakrishnan, p 155 Causes of Antepartum Hemorrhage Placenta previa Abruptio placenta Local causes like : Polyp * Carcinoma cervix Varicose veins * Trauma Circumvallate placenta Vasa previa Unclassified or indeterminate Circumvallate placenta It is an uncommon cause of antepartum hemorrhage.deg In this condition, the chorionic plate which is on the fetal side of the placenta is smaller than the basal plate on the maternal side.deg The fetal surface of the placenta presents a central depression surrounded by a thickened grayish white ring. These pregnancies may be complicated by IUGR and an increased chance of fetal malformations. Bleeding is usually painlessdeg. Antenatal diagnosis is unlikely and the diagnosis is usually made after examination of the placenta post deliverydeg. Note: Battledore placenta = It is a condition in which the umblical cord is attached to the margin of placenta.